Laproscopic procedure patient develops shoulder pain due to -
1. Subphrenic abscess
2. Positional pain during surgery
3. Subdiaphragmatic migration of gas
4. Injury to liver

Correct answer: 3. Subdiaphragmatic migration of gas

Explanation: Ans. is 'c' i.e., Subdiaphragmatic migration of gas * One type of pain that is unique to laparoscopy is the post laparoscopy shoulder pain due to the phrenic nerve irritation to the diaphragm caused by the CO2 gas that remains in the abdomen at the end of the procedure. When the patient sits up, the gas moves upwards to the diaphragm and irritates it leading to referred pain C3-C%.